The completed family size may be estimated by:
1. Birth rate
2. Death rate
3. Total fertility rate
4. Age specific fertility rate

Correct answer: 3. Total fertility rate

Explanation: The total fertility rate gives the approximate estimation of completed family size. It represents the average number of children a woman would have if she were to pass through her reproductive years bearing children at the same rates as the women now in each age group. TOTAL FERTILITY RATE = (SUM OF THE AGE SPECIFIC FERTILITY RATES)*(AGE INTERVAL OF THE WOMEN) 1000 or TOTAL FERTILITY RATE =*(AGE INTERVAL) 1000 Where For example: TOTAL FERTILITY RATE IN 5 YEAR AGE GROUPS = 5 [?](AGE SPECIFIC FERTILITY RATE) 1000 Ref: Park Textbook of Preventive and Social Medicine, 19th Edition, Pages 52, 53, 386, 387